Cyclosporine is active against
1. CD4+ lymphocyte
2. CD8+ lymphocyte
3. CD 14+ lymphocyte
4. B lymphocyte

Correct answer: 1. CD4+ lymphocyte

Explanation: Ans. is 'a' i.e., CD4+ Lymphocyte Cyclosporine acts on cell mediated immunity It profoundly and selectively inhibitsT Lymphocyte proliferation (CD4+ Cells)IL-2 and other cytokine proliferationResponse of inducer T cells to IL-1It does not has any effect on suppressor cells.